Not a cause of enlarged corneal nerves
1. Neurofibromatosis
2. Riley day dysautonomia
3. MEN
4. Band shaped keratopathy

Correct answer: 4. Band shaped keratopathy

Explanation: CAUSES OF ENLARGED CORNEAL NERVES *Leprosy *Keratoconus (prominent) *Neurofibromatosis *Riley day dysautonomia *MEN *Posterior Polymorphous Membrane Dystrophy